Which of the following is not a type of peripheral T-cell neoplasm according to 2017 WHO classification?
1. Lymphoplasmacytic lymphoma
2. Mycosis fungoides
3. Large granular lymphocytic leukemia
4. Anaplastic large cell lymphoma

Correct answer: 1. Lymphoplasmacytic lymphoma

Explanation: Lymphoplasmacytic lymphoma is a type of mature/peripheral B-cell lymphoid neoplasm. Peripheral T-Cell and NK-Cell Neoplasms (WHO, 2017) T-cell prolymphocytic leukemia Large granular lymphocytic leukemia Mycosis fungoides/Sezary syndrome Peripheral T-cell lymphoma, unspecified Anaplastic large-cell lymphoma Angioimmunoblastic T-cell lymphoma Enteropathy-associated T-cell lymphoma Panniculitis-like T-cell lymphoma Hepatosplenic gd T-cell lymphoma Adult T-cell leukemia/lymphoma Extranodal NK/T-cell lymphoma NK-cell leukemia